Evidence based treatment for menorrhagia is all except:
1. OCPS
2. Progesterone for three months cyclically
3. Tranexamic acid
4. Methotrexate

Correct answer: 4. Methotrexate

Explanation: Menorrhagia - Increased menstrual flow (>80ml) / increased duration at regular cycles. (>5 days) Treatment 1st line - NSAIDS Tranexamic acid 2nd line - hormones - Progesterone > estrogen Danazol GnRh analogues- stops periods. 3rd line - Surgical management Dilatation and Currettage Endometrial ablation Hysterectomy